Tall T waves on ECG are seen in:
1. Hyperkalemia
2. Hypokalemia
3. Hypercalcemia
4. Hypocalcemia

Correct answer: 1. Hyperkalemia

Explanation: Answer is A (Hyperkalemia) Hyperkalemia is typically associated with Tall peaked narrow based frnted T wave.